Most effective treatment of frostbite on lower extremities is-
1. Rewarming with friction and/or massage
2. Rewarming with blankets
3. Rewarming with immersion in warm water
4. Rewarming with encouragement of walking on warm surfaces

Correct answer: 3. Rewarming with immersion in warm water

Explanation: Ans. is 'c' i.e., Rewarming with immersion in warm water Key interventions for Frost bite are# Rapid rewarming# Meticulous sterile wound care# Possible thrombolysis# Early orthopedic consultation are key interventions.o Rewarming is most effectively accomplished by immersing the affected area in a water bath heated to 37deg to 39degC. Such water feels warm but not hot to an unaffected hand.o Tetanus prophylaxis and early, aggressive treatment of possible infection should be provided.o In patients at high risk for life-altering amputation (eg, multiple digits, proximal amputation), without contraindications to the use of tPA, who present within 24 hours of injury, we suggest treatment with intraarterial tPA plus intra-arterial heparin in consultation with a center experienced in the use of such treatment for frostbite. Clinicians must discuss the relative risks and benefits of thrombolytic treatment with the patient and obtain informed consent. Treatment with thrombolytics assumes the patient is willing to accept a small risk of potentially catastrophic bleeding in return for a greater likelihood of retaining functional digits or limbs.